Arrange the steps in cellular changes in inflammation in the sequence: 1. Chemotaxis 2. Diapedesis3. Margination4. Respiratory burst 5. Phagocytosis
1. 2-1-3-5-4
2. 1-3-2-5-4
3. 5-3-1-2-4
4. 3-2-1-5-4

Correct answer: 4. 3-2-1-5-4

Explanation: Steps in cellular changes in inflammation: In the lumen: margination, rolling, and adhesion to endothelium Migration across the endothelium and vessel wall - Transmigration or diapedesis Chemotaxis - After exiting the circulation, leukocytes move in the tissues toward the site of injury by a process called chemotaxis Recognition of the offending agents by TLRs and other receptors Leucocyte activation Phagocytosis - involves sequential steps: Recognition and attachment of the particle to be ingested by the leukocyte; Engulfment, with subsequent formation of a phagocytic vacuole; and Killing of the microbe and degradation of the ingested material (O2 Respiratory burst)